Area number for Somatosensory' area include
1. 4 & 6
2. 1, 2 & 3
3. 5 & 7
4. 16 & 18

Correct answer: 2. 1, 2 & 3

Explanation: 1, 2 & 3 (Description: Brodman's areas of Cerebral cortex)